"Snow-storm" appearance are seen in:
1. Anthracosis
2. Silicosis
3. Byssinosis
4. Bagassis

Correct answer: 2. Silicosis

Explanation: (Silicosis): Ref (711-Park 20th)1. SILICOSIS: X-ray chest shows "snow-storm" appearance in the lung fields silicosis is progressive and what is more important is that silicosis are prone to pulmonary tuberculosis (Silicotuberculosis)2. Anthracosis: Coal minor pneumoconiosis - leads to development of progressive massive fibrosis (PMF)3. Byssinosis: Inhalation of cotton fibres.Bagassis: inhalation of bagasse or sugar cane dust